Which lobe of the cerebral cortex contains the small bilateral cortical area that controls voluntary fixation movements?
1. Frontal lobe
2. Limbic lobe
3. Occipital lobe
4. Parietal lobe

Correct answer: 1. Frontal lobe

Explanation: A bilateral premotor cortical region of the frontal lobes controls voluntary fixation movements. A lesion of this region makes it difficult for a person to “unlock” their eyes from one  point of fixation and then move them to another point.